Spontaneous regression of proliferative retinopathy may occur in:
1. Diabetic retinopathy
2. Proliferative sickle retinopathy
3. Retinopathy of prematurity
4. All of the above

Correct answer: 4. All of the above

Explanation: Ans. All of the above